Energy expenditure iu resting state depends on:
1. Lean body mass
2. Adipose tissue
3. Resting heart rate
4. Exercise

Correct answer: 1. Lean body mass

Explanation: . Ans. a. Lean body mass Energy expenditure in resting state is almost equal to basal metabolic rate ie. the minimum energy expenditure for the body to exist. Basal metabolic rate is related to both body surface area and lean body mass. However, it appears to be more closely related to Lean body mass (Lean body mass = Total mass of the body - Fat).Factors Affecting the Basal Metabolic Rate* Lean body mass:- Higher the lean body mass more the BMR- Females have lower BMR compared to men of die same weight as they have tower proportion of lean body mass and have more fat.- Lean body mass diminishes with age slowing the BMR* Body surface area:- More the body surface area, higher the BMR* Gender: Males BMR > females BMR* Age: BMR decrease with age* Fasting/ Starvation/ Malnutrition decreases the BMR* Sleep decrease the BMR* Growth: BMR is more in growing children* Pregnancyflactation: BMR is higher* Stress/Emotional state: increases metabolic rate* Environmental temperature: Decreased environmental temperature increases the BMR* Fever raises the BMR* Thyroid hormones raises the BMR* Growth hormone increase the BMR* Exercise increases the metabolic rate* Ingestion of food increases the metabolic rate* Smoking and Caffeine increases the metabolic rate